All of the following are signs of Cerebellal disease except
1. Resting tremors
2. Past Pointing
3. Nystagmus
4. Ataxic gait

Correct answer: 1. Resting tremors

Explanation: . *When a person who have lost cerebellum performs a voluntary act the movements tend to oscillate,especially when they approach intended mark 1st over shooting the mark then vibrating back and forth before settling on the mark -intention or action tremors Ref Harrison20th edition pg 2567